Road -to health chart was given by-
1. John Snow
2. David Morley
3. Koch
4. Henrey Ducant

Correct answer: 2. David Morley

Explanation: Ans. is 'b' i.e., David morley Growth chart o Also known as "road-to-health" chart. It was first designed by David morley. o It is a visible display of the child's physical growth and development. o It is designed primarily for the longitudinal follow-up (growth monitoring) of child. o Mostly weight for age is taken into consideration (height is not taken into consideration). o This is because weight is the most sensitive measure of growth and any deviation from normal can be detected easily by comparison with reference curves. A child can lose weight but not height. The growth chart offers a simple and inexpensive way of monitoring weight gain and infact child health overtime.